Gancyclovir is used intravitreallyfor treatment of?
1. Influenza
2. Rhinovirus
3. HZV
4. CMV retinitis

Correct answer: 4. CMV retinitis

Explanation: Ans. is 'd' i.e., CMV retinitis Some drugs which are used intravitreally are :? 1) Bevacizumab : inhibits VEGF action; used in metastatic colorectal cancer; off label use as intravitreous injection to slow progression of neovascular macular degeneration. 2) Foscarnet : CMV retinitis. 3) Gancyclovir : CMV retinitis. 4) Ranibizumab : slow macular degeneration. 5) Pegaptanib : neovascular age related macular degeneration.